Recommended doors + windows area (% of floor area) in a school class must be:
1. 10%
2. 15%
3. 20%
4. 25%

Correct answer: 4. 25%

Explanation: Healthful school environment: Minimum recommended standards:- 1 classroom- <40 students Doors and window: Doors and window area > 25% of floor area Per capita space > 10 sq. feet Desk- minus type Natural light from left side 1 urinal per 60 students 1 sanitary latrine per 100 students.